IgG has subclasses
1. 1
2. 2
3. 3
4. 4

Correct answer: 4. 4